Which of the following tumors is cured by radiation?
1. Rhabdomyosarcoma
2. Renal cell cancer
3. Chloroma
4. Seminoma

Correct answer: 4. Seminoma

Explanation: Ans. (d) Seminoma Ref.: Bailey & Love 26th ed. /1385 Radiosensitive tumours Radioresistant tumours * Neuroblastoma * Seminoma * Medullolblastoma * Wilms * Early cervical cancer and vaginal cancer * Head and neck tumours * Renal cell cancer * Colonic cancer * Lung cancer * Melanoma * Sarcoma